Least toxic compound of lead is :
1. Least toxic compound of lead is :
2. Lead oxide
3. Lead carbonate
4. Lead sulphide

Correct answer: 4. Lead sulphide

Explanation: D i.e. Lead sulphide